Which of the following is not a labile cell
1. Bone marrow
2. Epidermal cells
3. Small intestine mucosa
4. Hepatocytes

Correct answer: 4. Hepatocytes

Explanation: Ref Robbins 8/e p81-84; 9/e p101 Liable cells Rapid rate of replication Skin GIT,oral cavity Permanent cells Cannot divide in postnatal life Neurones , skeleton muscles